The guidelines according to Baby Friendly Hospital Initiative includes all except –
1. Mothers and infant to be together for 24 hours a day
2. Mother to initiate breast feeding within 4 hours of normal delivery
3. Giving newborn infants no food or drink other than breast milk
4. Encouraging breast feeding on demand

Correct answer: 2. Mother to initiate breast feeding within 4 hours of normal delivery

Explanation: "Helping the mother initiate breastfeeding within the first hour of birth in normal delivery and 4 hours following caesarean section".  —Park
Baby friendly hospital initiatives

Baby friendly hospital initiative (BFHI) was launched for promotion, protection and support of breastfeeding.
It was launched by WHO and UNICEF.
BFHI has listed following ten steps, which the hospital must fulfill.


Have a written breastfeeding policy that is routinely communicated to all health care staff
Train all health care staff in skills necessary to implement this policy.
Inform all pregnant women about the benefits and management of breastfeeding.
Help mothers initiate breastfeeding within a half-hour of birth.
Show mothers how to breastfeed, and how to maintain lactation even if they should be separated from their infants.
Give newborn infants no food or drink other than breast milk, unless medically indicated.
Practice rooming-in-allow mothers and infants to remain together - 24 hours a day.
Encourage breastfeeding on demand.
Give no artificial teats or pacifiers (also called dummies or soothers) to breastfeeding infants.
Foster the establishment of breastfeeding support groups and refer mothers to them on discharge from the hospital or clinic.